Microsatellite sequence is:
1. Small satellite
2. Extra chromosomal DNA
3. Short sequence (2-5) repeat DNA
4. Looped-DNA

Correct answer: 3. Short sequence (2-5) repeat DNA

Explanation: Ans. C. Short sequence (2-5) repeat DNA(Ref: Robbins 9/e page 179)Repeat length Polymorphism or Short Tandem Repeats or Variable Number Tandem RepeatsDepending on the repeat size it is divided into Microsatellite-- Repeat size of 2-6bp.Minisatellite - Repeat size of 15-70bp.